Mallory hyaline is a characteristic feature of?
1. Hepatocellular carcinoma
2. Primary biliary cirrhosis
3. Alcoholic liver disease
4. Wilson's disease

Correct answer: 3. Alcoholic liver disease

Explanation: Mallory bodies are eosinophilic intracytoplasmic inclusion bodies which are composed predominantly of keratin intermediate filaments.
They are also known as alcoholic hyaline.
These inclusions are a characteristic but not specific feature of the alcoholic liver disease, as they are also seen in other conditions.